Light entering the eye passes through which retinal layer first?
1. Inner nuclear layer
2. Outer nuclear layer
3. Outer plexiform layer
4. Retinal ganglion layer

Correct answer: 4. Retinal ganglion layer

Explanation: The most anterior layer of the retina, through which light passes first, is the retinal ganglion layer. Light then passes through the other cell layers of the retina until it reaches the photoreceptors in the posterior region of the retina. Visual processing/Phototransduction occurs in the opposite direction(Photoreceptors- ganglion cell layer)